Muscle in extension compartment of forearm which causes flexion of elbow
1. Brachioradialis
2. Abductor pollicis longus
3. Extensor pollicis longus
4. Extensor caipi radialis longus

Correct answer: 1. Brachioradialis

Explanation: Brachioradialis - flexes forearm at elbow joint; rotates forearm to the mid prone position from supine or prone positions. Ref : B D Chaurasia's Human Anatomy , seventh edition , volume 1 , pg. no., 138